Apple jelly module is seen in -
1. Cutaneous anaphylaxus
2. Erythroderma
3. Lupus vulgaris
4. Eiysepals

Correct answer: 3. Lupus vulgaris

Explanation: Lupus vulgaris  Lupus vulgaris is a chronic and progressive form of cutaneous tuberculosis that occurs in tuberculin sensitive parents.
It is the most common type of cutaneous tuberculosis and has a most variable presentation. Seen in children and young adults, though no age is exempted.
Occurs on an exposed area like face (nose, eyelid, pinna); and sometimes on the block, trunk.

Lesions are usually solitary and characterized by - 

Reddish brown (erythematous).
Annular in shape. iii. Indurated.
Slowly increases in size (gradually progressive).
Healing with tissue paper like scarring at centre (most common) or edge.
Peripheral cruising.
Blanching with glass slide (diascopy) will reveal grey green foci → Apple jelly nodules.
Match-stick test positive → Apple jelly nodule has no resistance to pressure by a sharp matchstick.


The reappearance of new nodules within previously atrophic or scarred lesions is characteristic.
Carlage (Ear, nose) in the affected area is progressively destroyed (Lupus vorax); bone is usually spared. Buccal, nasal and conjunctival mucosa may be involved primarily or by extension.
Treatment is a tub